The scientist who discovered the transmission of malaria by anopheline mosquito -
1. Laveran
2. Paul muller
3. Ronal Ross
4. Pampana

Correct answer: 3. Ronal Ross

Explanation: Discovery Malarial parasite-Charles Laveran Life cycle-A.Bignami,B.Grassi, G.Bastianelli Anopheles species are vectors-Ronald Ross Culture malarial parasite-Trager and Jensen (refer pgno:54 baveja 3 rd edition )